Increased Cardiac Oxygen demand is caused by
1. Halothane
2. Thiopentone
3. N20
4. Ketamine

Correct answer: 4. Ketamine

Explanation: D i.e. Ketamine